Activation of which of the following receptors would be expected to decrease anxiety
1. Nicotinic cholinergic receptors
2. Glutamate receptors
3. GABA receptors
4. Glucocorticoid receptors

Correct answer: 3. GABA receptors